Drug used for Buerger's disease ?
1. Xanthinol nicotinate
2. Propranolol
3. GTN
4. All the above

Correct answer: 1. Xanthinol nicotinate

Explanation: . Drug used in Buerger's disease is Xanthinol nicotinate. Complamina retard (xanthine nicotinate) tablet was used daily once earlier. Now , graded injection of xanthine nicotinate 3000 mg from day 1 to 9000 mg on day 5 is used to promote ulcer healing . It also helps to increase claudication distance as a temporary basis. Beta blockers such as propranolol & GTN have no ulcer healing property in case of Thromboangitis obliterans (Buerger's disease). Ref :- SRB manual of Surgery 4th edition , Pg 184